BIRADS score 5 is
1. Negative
2. Probably benign
3. Suspicious abnormality
4. Highly suggestive of malignancy

Correct answer: 4. Highly suggestive of malignancy

Explanation: BIRADS score - Breast Imaging Reporting and Data System Category 5- Higly suggestive of malignancy, appropriate action should be taken